Drug of choice for ventricular tachycardia in a patient with myocardial ischemia is:
1. Lignocaine
2. Propranolol
3. Diltiazem
4. Digoxin

Correct answer: 1. Lignocaine

Explanation: Ans. (A) Lignocaine(Ref: CMDT 2019/389)Post MI ventricular tachycardiaRoutine prophylaxis is not recommended.Treat stable patients of sustained ventricular tachycardia with drugs and unstable patients with cardioversion.Drug of choice for treatment of sustained ventricular tachycardia after MI is lignocaine. If it is not effective then amiodarone or procainamide can be used. If the patient still does not respond, then cardioversion should be done.If the arrhythmia is refractory to shock, then amiodarone followed by repeat cardioversion should be done.